In muscle contraction all of the following occurs except
1. Z-lines become closer
2. H zone diappears
3. A band shortens
4. M line becomes more prominent

Correct answer: 3. A band shortens

Explanation: In muscle contraction

Z-line become closer
Sarcomere shorten
A-band remains unchanged
H-zone disappears
I-band shortens
M line becomes more prominent